A patient presents with fever. Peripheral smear shows band across the erythrocytes. Diagnosis is:
1. P Falciparum
2. P vivax
3. P ovale
4. P malariae

Correct answer: 4. P malariae

Explanation: Ans. d. P malariae